PUVA is used for all except
1. Psoriasis
2. Vitiligo
3. Porphyria
4. Cutaneous T-cell lymphoma

Correct answer: 3. Porphyria

Explanation: PUVA is a combination treatment which consists of Psoralens (P) and then exposing the skin to UVA (long wave ultraviolet radiation). PUVA may be used to treat various skin disorders, including: Psoriasis Dermatitis Vitiligo Polymorphic light eruption Cutaneous T-cell lymphoma Porphyria has photosensitivity and PUVA aggravates it. Ref: Harrison 19e pg: 348